The radiographic appearance of Botryoid odontogenic cyst is
1. Apple green appearance
2. Grape bunch appearance
3. Lemon peel appearance
4. Orange peel appearance

Correct answer: 2. Grape bunch appearance

Explanation: An unusual form of cyst called botryoid odontogenic cyst, manifests radiographically with a multilocular pattern, is simply a polycystic variant of the lateral periodontal cyst developing through cystic transformation of multiple islands of dental lamina rests. The  botryoid odontogenic cyst appears similar, except that its polycystic nature is often evident through its multi-locular pattern on the radiograph.